The length of esophagus in adult is -
1. 10 cm
2. 15 cm
3. 20 cm
4. 25 cm

Correct answer: 4. 25 cm

Explanation: Ans. is 'd' i.e., 25 cm * Esophagus is 25 cm long.Length of oesophagusIn adults25 cmAt birth8-10 cmAt 15 years of age19 cm